A primigravida at term pregnancy is in labor and on escalating doses of inj oxytocin. CTG shows persistent declarations after each contraction. On pelvic examination, patient is fully dilated, vertex is positioned at station above 0 with caput. What is the best management?
1. Increase oxytocin drop rate
2. Ventouse delivery
3. Outlet Forceps delivery
4. Caesarean delivery

Correct answer: 4. Caesarean delivery

Explanation: The patient is showing persistent late type of decelerations suggestive of non-reassuring Fetal Heart status, therefore delivery must be expedited with either instrumental delivery or caesarean section Since an important prerequisite for outlet forceps or ventouse application is that the fetal skull should have reached the pelvic floor, and the station in question is above 0,so ideal management is emergency LSCS.